The commonest route of transmission of HIV from the mother to the baby is -
1. Vertical transmission during pregancy
2. During delivery through vagina
3. Breast milk
4. Constant touch and handling

Correct answer: 2. During delivery through vagina

Explanation: Ans. is 'b' i.e., During delivery through vagina